Promoter sequence is an example for
1. Cis acting factor
2. Trans acting factor
3. Coactivator
4. Mediator

Correct answer: 1. Cis acting factor

Explanation: Trans acting factors control the expression of cis-regulatory element Cis-regulatory elements are DNA sequences present on the same molecule of DNA (chromosome) as the gene they regulate. E.g. Promoter is a cis-regulated element usually located upstream of the transcribed region. Enhancers are cis-regulatory elements that can be located upstream, downstream, within the introns,